Most common site of myocardial infarction is
1. Ant. wall of left ventricle
2. Post. wall of right ventricle
3. Post. wall of left ventricle
4. Inf. wall of left ventricle

Correct answer: 1. Ant. wall of left ventricle

Explanation: Myocardial infarction (MI), also commonly referred to as "heart attack," is necrosis of heart muscle resulting from ischemia. Acute occlusion of the proximal left anterior descending (LAD) artery is the cause of 40% to 50% of all MIs and typically results in infarction of the anterior wall of the left ventricle, the anterior two thirds of the ventricular septum, and most of the heart apex; more distal occlusion of the same vessel may affect only the apex. Similarly, acute occlusion of the proximal left circumflex (LCX) artery (seen in 15% to 20% of MIs) will cause necrosis of the lateral left ventricle, and proximal right coronary artery (RCA) occlusion (30% to 40% of MIs) affects much of the right ventricle. (Robbins Basic Pathology,9th edition,pg no.393)